Lymph from glans penis drains into
1. Superficial inguinal nodes
2. Deep inguinal lymph nodes
3. Obturator nodes
4. Internal iliac nodes

Correct answer: 2. Deep inguinal lymph nodes

Explanation: All the lymphatic vessels of the penis passes to the superficial inguinal nodes by accompanying the external pudendal blood vessel. The lymphatic vessels of glands penis enter to the deep inguinal nodes and external iliac nodes. Ref - BDC 6e vol2 pg219